Food with maximum Cholesterol content-
1. Egg
2. Coconut Oil
3. Hydrogenated Fats
4. Ghee (Hydrogenate)

Correct answer: 1. Egg

Explanation: An s is 'a' i.e. Egg o "The yolks* of eggs have the most cholesterol of any food with 1234mg per 100 gram serving or 411% of the DV. A single egg yolk will provide 210mg (70% DV) of cholesterol"- above mentioned website .